What is the recommended drug for treatment of carriers of diphtheria?
1. Oral penicillin
2. Injectable penicillin
3. Azithromycin
4. Erythromycin

Correct answer: 4. Erythromycin

Explanation: Carriers of diphtheria should be treated with a 10 days course of erythromycin. Ref: Park 21st edition, page 151.